Which of the following statements is false about Sacral Meningomyelocele –
1. Spasticity of the lower limbs is seen
2. Hydrocephalus is seen
3. Bladder incontinence may be seen
4. Lax anal sphincter is present

Correct answer: 1. Spasticity of the lower limbs is seen

Explanation: Meningomyelocele 

Meningomyelocele is a condition where normally develOped neural tissue along with its covering protrudes in the midline through a defect in mesodermal elements.
The neural tissue may be the spinal cord or the Cauda equina.
In a sacral meningomyelocele, however, the neural tissue involved would be the cauda equina, the involvement ofwhich would results in a lower neuron picture and not an upper motor neuron picture (ie. as in the involvement of spinal cord). Spasticity would thus not be a feature of Sacral Meningomyelocele. Spasticity is a feature of U.M.N. lesion and would thus be a feature of meningomyelocele occurring higher up, in the lumbar as dorsal region, where neural tissue involvement is that of spinal cord. (Note: Cauda equina are nothing but spinal nerves which have left the spinal cord, but yet have to leave the vertebral column, ie. they are lower motor neurons)
Bladder .1,Bowel incontinence may be seen.
Hydrocephalus is an important and frequently associated finding with meningomyelocele.